Near vision is not affected with:
1. Atropine
2. Adrenaline
3. Homatropine
4. Pilocarpine

Correct answer: 2. Adrenaline

Explanation: Ans. Adrenaline